Which is a feature of Normal pressure hydrocephalus
1. Gait Disturbance
2. Aphasia
3. Global confusion
4. Opthalmoplegia

Correct answer: 1. Gait Disturbance

Explanation: Harrison's principles of internal medicine 17 th edition * For NPH the clinical triad includes an abnormal gait( ataxic/ apractic) , dementia and urinary incontinence .